A 50 year old male presented with blurring of vision. Urine examination showed proteinuria. Fundus examination showed dot and blot haemorrhages, microaneurysm and cotton wool spots. Histopathology pic of kidney given below. Your diagnosis?
1. Kimmelstiel Wilson nodules
2. Crescents
3. Amyloid
4. Segmental sclerosis

Correct answer: 1. Kimmelstiel Wilson nodules

Explanation: Ans. (a) Kimmelstiel Wilson nodules(Ref: Robbins 9th edp 1118)Diabetic Nephropathy:The renal lesions include mainly: Glomerular lesions:*Basement membrane thickening and increased mesangial matrix in patients*Diffuse glomerulosclerosis#Increase in mesangial matrix associated with PAS+ basement membrane thickening, eventually obliterates mesangial cells, found in most individuals with disease of more than 10 years duration*Nodular glomerulosclerosis#Intercapillary glomerulosclerosis or Kimmelstiel- Wilson diseas